A method of delivering the breech is :
1. Scanzoni manoeuvre
2. Mauriceau's manoeuvre
3. Ritgen manoeuvre
4. Piper manoeuvre

Correct answer: 2. Mauriceau's manoeuvre

Explanation: Mauriceau's manoeuvre